A patient Rasmu presents with eye deviated laterally and slightly downward. The upward gaze is impaired and medial rotation is not possible. Which nerve is involved.
1. III
2. IV
3. VI
4. All

Correct answer: 1. III

Explanation: Ans. is 'a' i.e. III C.N Muscular supply of Extraocular musclesAll muscular of the eye are supplied by the III C.N except the superior oblique (by IV C.N ) & Lateral rectus (by VI C.N).Paralysis of III C.N would spare the sup. Oblique and the lateral rectus and the unopposed action would pull the eye outwards & downwardsAction of Superior oblique- downwards & laterallyAction of Lateral rectus - laterally